Ascitic fluid with T SAAG & Talbumin is/are found in:
1. T. B
2. CHF
3. Cirrhosis
4. Pancreatitis

Correct answer: 2. CHF

Explanation: Answer- B. CHFSerum-ascites albumin gradient (SAAG) is useful for distinguishing ascites caused by portal hlpeension from nonportal hypertensive ascites.A SAAG >1. 1 g/dl- reflects the presence of portal hypertensionA SAAG <1. 1 g/dl- tuberculous peritonitis, peritoneal carcinomatosis, or pancreatic ascites.For high-SAAG (>1.1) ascites-An ascitic protein level of >2. 5 g/dl indicates that the hepatic sinusoids occurs in cardiac ascites, sinusoidal obstruction syndrome, or early Budd-Chiari syndrome.An ascitic protein level <2. 5 g/dl, indicates cirrhosis, late Budd- Chiari syndrome, or massive liver metastases.